Which one of the following is NOT consistent with the diagnosis of aplastic anemia?
1. Hematopoietic cells occupying < 25% of marrow space
2. Hematopoietic cells morphology should be normal
3. Nomiocytic normochromic anemia
4. Splenomegaly

Correct answer: 4. Splenomegaly